In the support of the child with severe ARDS, appropriate goals for pH, oxygenation, and PCO2 include:
1. pH 7.40; PaO2 90 mm Hg; PCO2 40 mm Hg
2. pH 7.50; PaO2 125 mm Hg; PCO2 25 mm Hg
3. pH 7.35; PaO2 100 mm Hg; PCO2 45 mm Hg
4. pH 7.25; PaO2 60 mm Hg; PCO2 60 mm Hg

Correct answer: 4. pH 7.25; PaO2 60 mm Hg; PCO2 60 mm Hg

Explanation: This reflects the lung protection strategy with permissive hypercarbia. There is no need for hyperoxia, and PaO2 >90 mm Hg is a sign to reduce the FiO2 and thus potentially decrease the risk of oxygen toxicity.